Anesthetic agent with vasoconstriction is contraindicated in?
1. Finger block
2. Spinal block
3. Epidural block
4. Regional anesthesia

Correct answer: 1. Finger block

Explanation: Vasoconstrictor should not be added for ring block of hands, feet, fingers, toes, penis, pinna as all these organs are supplied by endarteries and ischemic damage may occur.